Who among the following has contributed to the development of neuro-otology and is considered as the father of 'nen ro-otology'?
1. Julius Lampa
2. John J. Shea Jr
3. William F. House
4. Hales Main

Correct answer: 3. William F. House

Explanation: Ans. c. William F. House (Ref www.audiology.org For the pioneering work in the field of neuro-otology, William F. House considered as 'Father of Neuro-otology'. William F. House considered as 'Father of Neuro-otology' because of his pioneering development approaches for the removal of acoustic tumors and the management of patients with disabling vertigo.